The principal vector of dengue virus-
1. Anopheles culicifacies
2. Aedes aegypti
3. Anopheles stephensi
4. Culex molestus

Correct answer: 2. Aedes aegypti

Explanation: The principal vector of dengue is the mosquito Aedes aegypti, which breeds in standing water; collections of water in containers, water based air coolers & tyre drumps are a god environment for the vector in large cities. Reference: Harrison20th edition pg 879